The period of mixed dentition is between the ages of :
1. 2-5 years
2. 6-11 years
3. 12-14 years
4. 15-17 years

Correct answer: 2. 6-11 years

Explanation: B i.e. 6-11